The inheritance pattern of familial retinoblastomas is -
1. AD
2. AR
3. X linked dominant
4. X linked recessive

Correct answer: 1. AD

Explanation: Ans. is 'a' i.e., AD Examples oflnherited Predisposition to CancerINHERITED C ANCER SYNDROMES (AUTOSOMAL DOMLNANT)GeneInherited PredispositionRBp53pl6;TNK4AAPCNF-LNF-2BRCA-1, BRCA-2MEN-1, RETMSH-2, MLH-1, MSH-6PTCHPTENLKB-1VHLRetinoblastomaLt-Fraumeni syndrome (various tumors)MelanomaFamilial adenomatous polyposis/colon cancerNeurofibromatosis 1 and 2Breast and ovarian tumorsMultiple endocrine neoplasia 1 and 2Hereditary' nonpolyposis colon cancerNevoid basal cell carcinoma syndromeCowden syndrome (epithelial cancers)Peutz-Jegher syndrome (epithelial cancers)Renal cell carcinomasINHERITED AUTOSOMAL RECESSIVE SYNDROMES OF DEFECTIVE DNAREPAERXeroderma pigmentosumAtaxia-tetangiectasiaBloom syndromeFanconi anemiaFAMILIAL CANCERSFamilial clustering of cases, but role of inherited predisposition not clear for each individualBreast cancerOvarian cancerPancreatic cancer